Integrated Management of childhood illness includes except
1. ARI
2. Malaria
3. Diarrhea
4. TB

Correct answer: 4. TB

Explanation: IMNCI is Indian adapta on of Global Programme of WHO & UNICEF to reduce childhood morbidity & mortality